Enzyme marker for pancreas ?
1. CPK
2. Amylase
3. SGOT
4. ALt

Correct answer: 2. Amylase

Explanation: Ans. is 'b' i.e.,Amylase